All of the following statement are true regarding histological features of emphysema, except:
1. There is loss of attachments of the alveoli to the outer wall of small airways
2. The pores of Kohn become narrower and obstructed
3. It causes decrease in capillary bed area
4. There are large abnormal airspaces, blebs and bullae

Correct answer: 2. The pores of Kohn become narrower and obstructed

Explanation: Histological features of emphysema Loss of attachments of the alveoli to the outer wall of small airways. Pores of Kohn are enlarged that septa appear to be floating or protrude blindly into alveolar spaces with a club-shaped end. Prolonged vasoconstriction leads to changes of pulmonary arterial hypertension. Alveolar walls are destroyed - decrease in the capillary bed area. With advanced disease, there are even larger abnormal airspaces and possibly blebs or bullae, - deform and compress the respiratory bronchioles and vasculature of the lung. Pulmonary emphysema